Which of the following patients is most likely to be treated with intravenous glucagon ?
1. A young man who took cocaine and has a blood pressure of 190/110 mm Hg
2. A middle aged man with type II diabetes who has not taken his regular dose of glipizide for last 4 days
3. An old man with severe bradycardia and hypotension resulting from ingestion of overdose of atenolol
4. An old woman with lactic acidosis as a complication of severe infection and shock

Correct answer: 3. An old man with severe bradycardia and hypotension resulting from ingestion of overdose of atenolol